True about nodular lymphocytic predominant Hodgkin's lymphoma
1. Consists predominantly of classical RS cells
2. CD 15 & CD 30 positive
3. Made up of T lymphocytes
4. Have good prognosis

Correct answer: 4. Have good prognosis

Explanation: Patients with lymphocyte predominance type of hodgkin's disease tends to have localised form of disease and have excellent prognosis Reference textbook of Pathology ,7th edition , author Harsha Mohan, page number 352